A 40 year old woman has had several episodes of rheumatic fever as a child. She is currently afebrile and feels well, and has come to a hospital for monitoring echocardiography. Which of the following would be most likely to be seen in this patient's mitral valve?
1. Ballooning of valve leaflets
2. Fish mouth valve
3. Irregular beads of calcification in annulus
4. Large bulky vegetation with adjacent leaflet perforation

Correct answer: 2. Fish mouth valve

Explanation: Acute rheumatic fever is a multisystem inflammatory disease that can follow group A streptococcal pharyngitis. The heart is a primary target of this disease and may be damaged sufficiently to develop permanent sequelae. The most important of these sequelae is chronic rheumatic heart disease with valvular damage. The damage most often involves the mitral and/or aortic valves. The resulting thickened, blunted cardiac valve leaflets, often with fibrous bridging between valve leaflets and calcification, frequently take on a "fish mouth" or "button hole" stenotic morphology.Associate ballooning of valve leaflets with mitral valve prolapse.Associate irregular, bead like calcifications on the annulus with calcification of the mitral annulus, seen in elderly individuals.Associate large vegetations and leaflet perforation with acute bacterial endocarditis, which usually involves healthy, rather than previously damaged, valves. Ref: Wyatt C., Butterworth IV J.F., Moos P.J., Mackey D.C., Brown T.G. (2008). Chapter 10. Cardiac Pathology. In C. Wyatt, J.F. Butterworth IV, P.J. Moos, D.C. Mackey, T.G. Brown (Eds), Pathology: The Big Picture.